Drug with beta adrenergic blocking, with antioxidant, with calcium channel blocking, with alpha 1 antagonist activity' is -
1. Esmolol
2. Carvedilol
3. Nebivolol
4. Levobunolol

Correct answer: 2. Carvedilol

Explanation: Ans. is 'b' i.e., Carvedilol Carvedilolo Carvedilol is b1 + b2 + a1 adrenoceptor blocker with a : b blocking property of 1 : 9.o It has antioxidant and antimitotic property.o It produces peripheral vasodilation due to a-l blockade as well as calcium channel blockade (direct effect).o It is used in hypertension and angina.o It is used as cardioprotective in CHF.o t 1/2 is 2-8 hrs.o It is eliminated through liver and kidney,o It causes orthostatic hypotension.